The most common cause of vocal cord palsy is -
1. Total thyroidectomy
2. Bronchogenic carcinoma
3. Aneurysm aorta
4. Tubercular lymph nodes

Correct answer: 1. Total thyroidectomy

Explanation: In unilateral paralysis, left recurrent laryngeal nerve is more prone to paralysis compared to the right one because of its much longer course.
Most common overall cause of vocal cord paralysis is iatrogenic in origin following surgery, most commonly thyroidectomy.
Most common cause of unilateral left vocal cord paralysis is bronchial carcinoma at the left hilum.